A 9 year old child is restless. He is hyperactive and his teacher complaints that he does not listen to the teachings. Disturbs other students, he also shows less interest in playing. The likely diagnosis is ?
1. Cerebral palsy
2. Attention deficit hyperactive child
3. Deliruium
4. Mania

Correct answer: 2. Attention deficit hyperactive child

Explanation: Ans. is 'b' i.e., Attention deficit hyperactive child o The child in question has following problems. Child is hyperactive 3. Difficulty in playing He does not listen to teachings 4. Disturbs other students o All these are features of attention deficit hyperactivity disorder (ADHD).